Cone biopsy is indicated in all the following conditions except:
1. Indefinite diagnosis on colposcopy
2. CIN-III
3. Cervical metaplasia
4. Microinvasive carcinoma

Correct answer: 3. Cervical metaplasia